Number of swallowings per day
1. 300
2. 400
3. 1500
4. 600

Correct answer: 4. 600